Which of the following is oral contrast agent?
1. Sonavist
2. Levovist
3. Sono Rx
4. Echogen

Correct answer: 3. Sono Rx

Explanation: Sono Rx is a oral ultrasound contrast agent Other ultrasound contrast agents Given in the other options are used intravenously